Drug of choice for obsessive-compulsive disorder
1. Buspirone
2. Haloperidol
3. Fluoxetine
4. Olanzapine

Correct answer: 3. Fluoxetine

Explanation: (C) Fluoxetine # Drug Treatment:> Benzodiazepines (e.g. Alprazolam, Clonazepam) have a limited role in controlling anxiety as adjuncts.>Antidepressants: Some patients may improve dramatically with specific serotonin reuptake inhibitors (SSRIs).* Clomipramine (75-300 mg/day), a non specific serotonin reuptake inhibitor (SRI), is the first drug used effectively in the treatment of OCD.* The response is better in presence of depression, but many patients with pure OCD also improve substantially.* Fluoxetine (20-80 mg/day) is a good alternative to clomipramine.* Fluvoxamine (50-200 mg/day) is marketed as a specific anti-obsessional drug, while paroxetine (20-40 mg/day), and sertraline (50-200 mg/day) are also effective in some patients.> Antipsychotics: These are occasionally used in low doses (e.g. haloperidol, risperidone, olanzapine, pimozide) in the treatment of severe, disabling anxiety.> Buspirone has also been used beneficially as an adjunct for augmentation in some patients.